Joint involved in forefoot eversion and inversion:
1. Talocrural joint
2. Calcaneocuboid joint
3. Cuneocuboid joint
4. Inferior tibiofibular joint

Correct answer: 2. Calcaneocuboid joint

Explanation: Ans. B. Calcaneocuboid jointInversion and eversion occurs ata. Sub talar joint- Talocalcaneal jointb. Talocalcaneo navicular jointc. Talonaviculard. Calcaneo cuboid joint